All of the following have operculated eggs except:
1. Clonorchis sinensi
2. Diphyllobothrium latum
3. Hymenolepis dimunita
4. Fasciola hepatics

Correct answer: 3. Hymenolepis dimunita

Explanation: Operculated eggs are those eggs which have a lid or operculum.Operculated eggs are present in-1. Most of the Trematodes (except Schistosomes)2. Diphyllobothrium latum (Fish tapeworm)Diphyllobothrium latum causes Megaloblastic anemia.Eggs of H. dimunita (Rat tapeworm) lacks polar filaments. Clonorchis sinensi (Oriental Liver fluke) causes Cholangiocarcinoma.